Regression of midgut herniation during embryogenesis occurs at:
1. 6 weeks
2. 10 weeks
3. 16 weeks
4. 20 weeks

Correct answer: 2. 10 weeks

Explanation: Physiological umbilical hernia occurs at week 5 of intrauterine life. Regression of hernia occurs at week 10 Defect in regression causes omphalocele